Drug which can be used in both type1 as well as type 2 diabetes mellitus is
1. Bromocriptine
2. Pramlintide
3. Colesevelam
4. Exenatide

Correct answer: 2. Pramlintide

Explanation: Pramilinide is amylin analogue, It should be avoided in patients with diabetic gastroparesis (delayed stomach emptying) Given subcutaneously Causes hypoglycemia and indicated for both type 1 as well as type 2 diabetes mellitus. Colesevelam is bile acid sequestrant given in dyslipidemia. It is also approved in type 2 diabetes mellitus. Bromocriptine is D2 agonist used to reverse insulin resistance. Exenatide GLP analogue has been associated with pancreatitis Patients are adviced to dicontinue when they are experience severe abdominal pain should be avoided in renal failure patients Only insulin and pramlintide are approved in both type 1 as well as type 2 diabetes mellitus. All other drugs are used only in type 2 diabetes mellitus.